Energy storage form in liver ?
1. Triglyceride
2. Cholesterol
3. FFA
4. Glycogen

Correct answer: 4. Glycogen

Explanation: Provider of energyPlasma glucoseGrams12 Kilocalories48Hepatic glycogen70280Musde glycogen2801120Fat (Triglyceride) in adipose tissue13,000117, 000Muscle protein10,00040,000